Best test for diagnosis of organic mental disorder
1. Sentence completion test
2. Bender gestalt test
3. Rorschach test
4. Thematic Appreciation Test

Correct answer: 2. Bender gestalt test

Explanation: B i.e. Bender - Gestalt test